Gluten-free diet is useful in management of
1. Dermatitis herpetiformis
2. Erythema multiforme
3. Epidermolysis bullosa acquisita
4. Toxic epidermal necrolysis (TEN)

Correct answer: 1. Dermatitis herpetiformis

Explanation: Ans. a (Dermatitis herpetiformis) (Ref. H - 18th/ch. 54)DERMATITIS HERPETIFORMIS# Associated with celiac sprue.# Extremely pruritic small papules and vesicles.# Located on elbows, knees, buttocks, and posterior neck.# Subepidermal blisters with neutrophils in dermal papillae are characteristic.# Granular IgA deposits in dermal papillae are common.# Associated with HLA DR3, DQw2.# Gluten - free diet & Dapsone are treatment# Steroids are not used to treat dermatitis herpetiformis.Educational points:# Anti-endomysial antibodies have the best sensitivity and specificity for the diagnosis of celiac disease (Celiac sprue/ gluten-sensitive enteropathy).# In celiac sprue intolerance is found to:BarleyRyeOatsWheat